Which of the following is NOT present in pancreatic juice?
1. Colipase
2. Elastase
3. Ribonuclease
4. Aminopeptidase

Correct answer: 4. Aminopeptidase

Explanation: Aminopeptidase is present in succus entericus; it is an exopeptidase. The exopeptidase present in pancreatic juice is carboxypeptidase.